An 8 yr old child is brought by parents to the casualty with a spiral fracture of Femur and varying degree of Ecchymosis all over the body. The Etiology is -
1. Hit & run accident
2. Battered Baby Syndrome
3. Hockey Stick injury
4. Fall from height

Correct answer: 2. Battered Baby Syndrome

Explanation: child abuse has certain characteristic features :

Inflicted fractures of the shaft are more likely to be spiral rather than transverse.
A classic finding is a chip fracture in which a corner of the metaphysis of a long bone is torn off with damage to epiphysis and periosteum.



Bruises, Petechiae and Ecchymosis... all provide further clues to the diagnosis of child abuse.
In the given patient presence of spiral fracture femur, along with varying degrees of ecchymosis is highly suggestive of the Battered baby syndrome.